Pasteur developed the vaccine for the following:
1. Anthrax
2. Rabies
3. Chicken cholera
4. All of the above

Correct answer: 4. All of the above

Explanation: Pasteur's postulates: Pasteur proved that all forms of life, even microbes, arose only from their like and not de novo. Introduced techniques of sterilization and developed steam sterilizer, hot-air oven and autoclave Developed vaccines against anthrax, rabies, chicken cholera Ref: Textbook of Microbiology By Ananthanarayan And Paniker, 7th edition, Page 1.